Culpable homicide without murder comes under IPC?
1. 300
2. 302
3. 304
4. 307

Correct answer: 3. 304

Explanation: Ans. is 'c' i.e. 304 o 300 IPC. Murder (defining murder).o 302 IPC: Punishment for murder (death or life imprisonment).o 304 IPC: Punishment of culpable homicide, not amounting to murder (10 years imprisonment +- fine).o 307IPC: Attempt to murder (10 years imprisonment +- fine).